The health indicator obtained by dividing height by cube root of weight is -
1. Quetelet's index
2. Brocca index
3. Corpulence index
4. Ponderal index

Correct answer: 4. Ponderal index

Explanation: Health indicators to assess obesity:- 1. Body mass index(Quetelet's index): weight(kg) by height square (metre sq). 2. Ponderal Index: Height(cm) by cube root of weight(kg). 3. Brocca Index: Height(cm) minus 100. 4. Lorentz's formula 5. Corpulence index: Actual weight by desirable weight. Body mass index and Brocca index are widely used. {Reference: Park's textbook of community medicine 23 rd edition pg no. 399}